Adson's test is positive in
1. Cervical rib
2. Cervical fracture
3. Cervical spondylosis
4. Cervical dislocation

Correct answer: 1. Cervical rib

Explanation: Adson's sign is the loss of the radial pulse in the arm by rotating head to the ipsilateral side with extended neck following deep inspiration . Ref : S. Das surgery 3/e p641